Umami taste is evoked by
1. Glucose
2. Glutamic acid
3. Quinine
4. Sodium chloride

Correct answer: 2. Glutamic acid

Explanation: Glutamic acid is responsible for umami taste Ref: guyton and hall textbook of medical physiology 12 edition page number: 713,714,715